Meglitinide analogues act by -
1. Increasing insulin release
2. Decreasing glucogon release
3. Decreasing intestinal absorption of glucose
4. Promoting peripheral utilization of glucose.

Correct answer: 1. Increasing insulin release

Explanation: Ans. is 'a' i.e., Increasing insulin release These are recently developed quick and short acting insulin secretogogues. o They act through sulfonylurea receptors --> closure of ATP dependent K+ channels --> depolarization --> insulin release.